Scrub typhus is transmitted by:
1. Flea
2. Mite
3. Tick
4. Mosquito

Correct answer: 2. Mite

Explanation: Mite